Arterial supply of facial nerve is all except:
1. Ascending pharyngeal artery
2. Middle meningeal artery
3. Greater palatine artery
4. Stylomastoid branch of occipital artery

Correct answer: 3. Greater palatine artery

Explanation: Facial nerve in facial canal is supplied by: Superficial petrosal branch of middle meningeal artery, stylomastoid branch of posterior auricular or occipital arteries. In extracranial course it is supplied by: Stylomastoid branches of posterior auricular or occipital arteries, superficial temporal, transverse facial and tympanic branch of ascending pharyngeal artery.